PMA index given by Schour and Massler is a method of assessing
1. Periodontitis
2. Oral hygiene
3. Amount of calculus
4. Gingivitis

Correct answer: 4. Gingivitis